Which of the following is not a peptide/protein
1. Growth hormone
2. Insulin
3. PTH
4. Glucocorticoids

Correct answer: 4. Glucocorticoids

Explanation: Ans. is 'd' i.e., Glucocorticoids